The predominant immunoglobulin in sulcular fluid is:
1. Ig A
2. Ig G
3. Ig M
4. Ig E

Correct answer: 2. Ig G